Prolonged use of aspirin causes:
1. Hypoprothrombinemia
2. Hyperprothrombinemia
3. Hypophosphatasia
4. Hypercalcemia

Correct answer: 1. Hypoprothrombinemia